TRUE about Saphenous Opening:
1. Transmits Saphenous Nerve
2. Lies 4 cm Lateral and Superior to Pubic Tubercle
3. Covered by Cribriform Fascia
4. Opening in Cribriform Fascia

Correct answer: 3. Covered by Cribriform Fascia

Explanation: Saphenous opening is an oval defect in the Fascia Lata in front of the thigh, for the passage of Great Saphenous Vein into the Femoral Vein. The Centre of the Opening is about 4 cm Inferolateral to the Pubic Tubercle. The Saphenous Opening is closed by a membrane of areolar tissue--the cribriform fascia which is pierced by great Saphenous Vein, Superficial Epigastric and Superficial External Pudendal Vessels and lymph vessels connecting Superficial and Deep Inguinal Lymph Nodes.